The germ cells are derived from
1. Yolk sac
2. Amnion
3. Germinal epithelium
4. Allantois

Correct answer: 1. Yolk sac

Explanation: Germ cells developed from yolk sac epiblast(ectoderm). Ref: Human embryology; Inderbir Singh; Tenth edition